Which of the following antiepileptic drugs acts by affecting the levels of GABA ?
1. Sodium valproate
2. Ethosuximide
3. Phenytoin sodium
4. Carbamazepine

Correct answer: 1. Sodium valproate